What a patient with gluten hypersensitivity can consume -a) Riceb) Barleyc) Cornd) Rye
1. b
2. c
3. ac
4. ad

Correct answer: 3. ac